Not a cause of objective tinnitus -
1. Palatal myoclonus
2. Glomus tumor
3. Carotid artery aneurysm
4. Presbyacusis

Correct answer: 4. Presbyacusis

Explanation: Ans. is 'd' i.e., PresbyacusisTinnituso Tinnitus is ringing sound or noise in the ear.o The characteristic feature is that the origin of this sound is within the patient,o Two types of tinnitus have been describeda) SubjectiveI. OtologicII. Non-otologico Impacted waxo Fluid in the middle earo Acute and chronic otitis mediao Abnormally patent eustachian tubeo Meniere's diseaseo Otosclerosiso Presbyacusiso Noise traumao Ototoxic drugso Tumors of VUIth nerveo Disease ofCNSo Anaemiao Arteriosclerosiso Hypertensiono Hypotensiono Hypoglycaemiao Epilepsyo Migraineo Drugsb) Objectiveo Vascular tumours of middle ear (glomus tumour)o Aneurysm of carotid arteryo Palatal myoclonus